What does Hirschsprung's disease involve? SELECT ONE.
1. Peptides
2. Bile salts
3. Meissner and Auerbach plexus deficiency
4. Vagus nerve excess

Correct answer: 3. Meissner and Auerbach plexus deficiency

Explanation: In Hirschsprung's disease, there is an absence of myenteric plexus in the upper anal segment (i.e., the most distal portion of the cloaca). In 15%, the myenteric plexus involves only the upper anus; in 70%, the rectum is also involved; and in 15%, part of the colon is also involved. The abnormal segment is contracted; whereas, the dilated bowel is proximal to the diseased segment.